False about Toxic Amblyopia
1. Tobacco - alchol amblyopia is characterized by foggy vision associated with B/L centroceacal Scotomas
2. Methyl alchol amblyopia results from degeneration of ganglion cells of retina
3. Quinine amblyopia - Visual loss may be associated with deafness and tinnitus
4. Ethambutol amblyopia progresses even after cessation of the drug

Correct answer: 4. Ethambutol amblyopia progresses even after cessation of the drug

Explanation: Ethambutol amlyopia recovers completely in most of the cases after immediate cessation of the drug.